Radio resistant tumours are - a) Melanoma  b) HD  c) Seminoma  d) Ewing's sarcoma  e) Chondro sarcoma
1. ae
2. bc
3. ad
4. ab

Correct answer: 1. ae